Which of the following is least likely to be associated with progressive congenital scoliosis?
1. Hemivertebra
2. Block vertebra
3. Wedge vertebra
4. Unilateral unsegmented vertebra with bar

Correct answer: 2. Block vertebra

Explanation: a. Hemivertebrai. Most common type of failure of formation anomaly.ii. This is where a portion of the vertebra is missing resulting in a small, triangularshaped "half vertebra" or hemivertebra.iii. Hemivertebrae can be subclassified based on their relationship to the adjacentspine (segmented, semisegmented, nonsegmented).b. Block vertebrai. When several vertebral segments fail to separate bilaterally, a block vertebra resultsproducing fused vertebral bones.c. Unilateral unsegmented vertebral barsi. are caused by the failure of segmentation only on the left or right side of the spine.The thoracic curves have the poorest prognosis, with the worst anomaly being aunilateral unsegmented bar combined with single or multiple convex hemivertebrae,followed by a unilateral unsegmented bar, double convex hemivertebrae, and a singleconvex hemivertebra, with the bloc vertebra having the best prognosis.Classification of Congenital Scoliosisa. Failure of formation (see Fig. 38-120)i. Partial failure of formation (wedge vertebra)ii. Complete failure of formation (hemivertebra)b. Failure of segmentationi. Unilateral failure of segmentation (unilateral unsegmented bar)ii. Bilateral failure of segmentation (block vertebra)c. Miscellaneous